Which of the following section of IPC are concerned with dowry death?
1. 300
2. 302
3. 304
4. 304-B

Correct answer: 4. 304-B

Explanation: D i.e. 304 B